Which of the following is included in definition of Nephrotic syndrome -
1. Microalbuminuria
2. Massive Proteinuria
3. Microscopic haematuria
4. All

Correct answer: 2. Massive Proteinuria

Explanation: Ans. is 'b' i.e., Massive proteinuria Nephrotic syndrome o Nephrotic syndrome is a group of disease having different pathogenesis and characterized by ? Proteinuria (> 3.5 gm/day) 3. Edema 5. Lipiduria ---> Lipid casts Hypoalbuminemia 4. Hyperlipidemia 6. Hypercoagulability